The treatment of choice from inguinal hernia in infants is:
1. Herniotomy
2. Herniorrhaphy
3. Truss
4. Hernioplasty

Correct answer: 1. Herniotomy

Explanation: Ans. A i.e. Herniotomy Management of congenital inguinal hernia If an infant hernia becomes suddenly irreducible, urgent operative repair is indicated. Otherwise, the infant hernia can be left alone until the child is over 3 months old, when routine day case repair can be performed There is no place of truss in the management of infant hernia